Loud pulmonary component of second heart sound heard in
1. MR
2. TOF
3. Eissenmenger's syndrome
4. Pulmonary stenosis

Correct answer: 3. Eissenmenger's syndrome

Explanation: The loudness of each component of the second heart sound is proportional to the respective pressures in the aorta and pulmonary artery at the onset of diastole.P2 is relatively loud in young patients in whom the pulmonary arteries are quite close to the chest wall.The pulmonic component is considered to be abnormally loud in a subject over age 20 if it is greater than the aortic component in the second left inter-costal space (ICS) or if it is audible at the cardiac apex.This may be seen in pulmonary artery hypertension and ASDThe term Eisenmenger's syndrome is applied to patients with a large communication between the two circulations at the aortopulmonary, ventricular, or atrial levels and bidirectional or predominantly right-to-left shunts because of high resistance and obstructive pulmonary hypertension. Hence, the P2 is loud.However, in Eisenmenger's syndrome with a large ventricular septal defect (VSD), the pulmonary closure may get completely fused with aortic closure throughout the respiratory cycle. Here, the duration of right and left ventricular systole become virtually equal. Hence, a single loud S2 is heard in both phases of respiration.Ref: Harrison's 18/e p1923